In leprosy, the best bactericidal agent is
1. Clofazimine
2. Dapsone
3. Rifamipicin
4. Ethionamide

Correct answer: 3. Rifamipicin

Explanation: Refer KDT 6/e p753. Best and the fastest acting drug for leprosy is Rifamipicin Clofazimine and Dapsone are bacteriostatic agents